Material used in Tympanoplasty -a) Temporalis fasciab) Cartilagec) Muscled) Mucous membrane
1. ac
2. ab
3. ad
4. bc

Correct answer: 2. ab

Explanation: Myrirgoplasty is repair of a perforation of the tympanic membrane (the pars tensa).
Tympanoplasty is ossicular reconstruction with myringoplasty.
Myringoplasty is done using the graft made of either of the following materials.

– Temporalis Fascia (most common)
– Perichondrium from tragus
– Tragal cartilage
– Vein